Atypical endometrial hyperplasia undergoes malignant transformation in :
1. 10%
2. 25%
3. 45%
4. 70%

Correct answer: 2. 25%

Explanation: 25%